All of the following are true about type-II pneumocytes, EXCEPT:
1. provide progenitor cells for the type I cell population
2. Also called septal cells
3. No secretory function
4. Lamellar bodies are formed

Correct answer: 3. No secretory function

Explanation: Type II alveolar cells (type II pneumocytes or septal cells) are cuboidal cells interspersed among the type I alveolar cells. Type II cells divide to replace their own population after injury and to provide progenitor cells for the type I cell population. Lamellar bodies can be considered markers for type II cells. They contain various lipids, phospholipids, and proteins that are continuously synthesized and released at the apical cell surface. The secreted material spreads over the entire inner alveolar surface as a film of complexed lipoproteins and water that acts as pulmonary surfactant. Ref: Mescher A.L. (2013). Chapter 17. The Respiratory System. In A.L. Mescher (Ed), Junqueira's Basic Histology, 13e.